For Active Management of Third Stage of Labour, the preferred drug & the route is:
1. Oxytocin, I.M/I.V
2. Oxytocin, s.c
3. Methergin, IM
4. Misoprostol, per rectal

Correct answer: 1. Oxytocin, I.M/I.V

Explanation: Components of AMTSL - Administration of a Uterotonic drug (Oxytocin, 10 IU injection is the drug of choice) Delivery of Placenta by Controlled cord traction. Delayed cord clamping Intermittent uterine tone assessment